During acclimatization to high altitude all of the following takes place except
1. Increase in minute ventilation
2. Increase in the sensitivity of central chemoreceptors
3. Increase in the sensitivity of carotid body to hypoxia
4. Shift in the oxygen dissociation curve to the left

Correct answer: 4. Shift in the oxygen dissociation curve to the left